Argon laser trabeculoplasty is used in:
1. Closed-angle glaucoma
2. Primary open-angle glaucoma
3. Neovascular glaucoma
4. Aphakic glaucoma

Correct answer: 2. Primary open-angle glaucoma

Explanation: Ans. Primary open-angle glaucoma